Which of the following is most useful to differentiate Micrococci from Staphylococci
1. Catalase test
2. Hugh Leifson test
3. Oxidase test
4. All of the above

Correct answer: 2. Hugh Leifson test

Explanation: Micrococci: gram-positive cocci which occur mostly in pairs, tetrads or irregular clusters. They are catalase and modified oxidase positive and aerobic. Non-pathogenic resemble staphylococci but in stained smears, the cells are generally larger and more gram variable than staphylococci and appear in tetrads. A common laboratory method to differentiate between micrococci and staphylococci is Hugh and Leifson's oxidation fermentation test in which micrococci show oxidative and staphylococci show fermentative patterns. Ref: Textbook of Microbiology; Ananthanarayanan and Panicker; 10th Edition; Page No: 209